A patient Seeta is diagnosed to be having iron deficiency anemia. The agent that can be used to improve the absorption of iron is:
1. Antacids
2. Tetracyclines
3. Phosphates
4. Ascorbic acid

Correct answer: 4. Ascorbic acid

Explanation: Substances improving the absorption of iron are: Ascorbic Acid HCl Substances reducing the absorption of iron Phosphates Meat Phytates Tetracyclines Antacids